Purple lining over gums is seen in which chronic poisoning -
1. Magnesium
2. Lead
3. Copper
4. Mercury

Correct answer: 3. Copper

Explanation: Purple line on gums is seen in copper poisoning.